C shaped curve on tympanometry is seen in
1. Serous otitis media
2. Otosclerosis
3. TM perforation
4. Retracted tympanic membrane

Correct answer: 4. Retracted tympanic membrane

Explanation: Type C tympanometry Maximum compliance occurs with negative pressure in excess of 100mm H2O Seen in retracted tympanic membrane and may show some fluid in middle ear. Ref: Dhingra 7e pg 27.